Perinatal mortality. MC cause:
1. Birth Asphyxia
2. Intra uterine infection
3. Birth injury
4. Anemia

Correct answer: 1. Birth Asphyxia

Explanation: Birth Asphyxia